Most common cause of death in the under five age group in developing countries is:
1. Malnutrition
2. Respiratory diseases
3. Diarrhea
4. Road traffic accidents

Correct answer: 2. Respiratory diseases

Explanation: Ans: B (Respiratory diseases) Ref: Park's Preventive and Social Medicine, 22nd edition. Million Death Study Collaborators. Bassani DG et al. Causes of neonatal and child mortality in India: a nationally representative mortality survey. Lancet. 2010 Nov 27;3 76( 9755): 1853-60. Explanation: Indian Data (Ref: Lancet Article) Top 2 causes of Under-5 mortality (Accounts for > 78% of total Under-5 deaths). Pneumonia Diarrhoea! diseases Top 3 causes of neon to l mortality (Accounts for >78% of total neonatal deaths) Prematurity and low birthweisht Neonatal infections Birth asphyxia and birth trauma